TRUE about Lumbar plexus is
1. The femoral nerve carries contributions from the ventral divisions of anterior rami of L2 to L4
2. Root value of Lateral Cutaneous nerve of thigh is L3 and L4
3. L3 is also known as Nervus furcalis
4. Root value of Genitofemoral nerve is L1 and L2

Correct answer: 4. Root value of Genitofemoral nerve is L1 and L2

Explanation: The femoral nerve carries contributions from the dorsal divisions of anterior rami of L2 to L4
Root value of Lateral Cutaneous nerve of thigh is L2 and L3
L4 is also known as Nervus furcalis